A 40 yrs old female who is known case of ischemic heart disease (IHD) is diagnosed having hypothyroidism. Which of the following would be most appropriate line of management for her -
1. Start levothyroxine at low dose
2. Do not start levothyroxine
3. Uselevothyroxine
4. Thysoid extract is a better option

Correct answer: 1. Start levothyroxine at low dose

Explanation: Levothyroxine replacement in ischaemic heart disease Hypothyroidism and ischaemic heart disease are common conditions that often occur together. Although angina may remain unchanged in severity or paradoxically disappear with restoration of metabolic rate, exacerbation of myocardial ischaemia, infarction and sudden death are recognised complications of levothyroxine replacement, even using doses as low as 25 mg per day. In patients with known ischaemic heart disease, thyroid hormonereplacement should be introduced at low dose and increased veryslowly under specialist supervision. It has been suggested that T3 has an advantage over T4, since T3 has a shorter half-life and any adverse effect will reverse more quickly, but the more distinct peak in hormone levels after each dose of T3 is a disadvantage. Coronary intervention may be required if angina is exacerbated by levothyroxine replacement therapy Ref - davidsons 23e p641